HLA B27 is not seen in -
1. SLE
2. Ankylosing spondylitis
3. Reiter's syndrome
4. Psoriotic arthritis

Correct answer: 1. SLE

Explanation: Ans. is 'a' i.e., SLE HL A and Disease AssociationHLA - class 1B-27Spondyloarthropathies# Ankylosing spondylitis# Reiter's syndrome# Acute anterior uveitis# Reactive arthritis# Psoriatic arthritisB-8Hyperthyroidism (Graves' disease) Myasthenia gravisB-51Behcet's diseaseB-47Congenital adrenal hyperplasiaCW6Psoriasis vulgarisHLA-class 11DR-2# Japanese SLE # Multiple sclerosis# Narcolepsy # Goodpasture's syndromeDR-3# Myasthenia gravis # Graves' disease# Type I DM # Dermatitis herpetiformis# Chronic active hepatitis # Caucasian SLE# Sjogren's syndromeDR-4Type 1 DMPemphigus vulgarisRheumatoid arthritisDR-5juvenile (pauciarticular) arthritisDR-8Type I DMDQ-1Pemphigus vulgarisDQ- 2,DQ-8Gluten sensitive enteropathy (celiac sprue)DQ-7Bullous pemphigoidDQ - 8Type 1 DMNote: DR-2 has negative association with type 1 DM i.e. genetic association with protection from DM.